Necrotizing pappillitis is seen in :
1. Salicylate poisoning
2. Glomerulonephritis
3. PNH
4. Diabetes insipidus

Correct answer: 1. Salicylate poisoning

Explanation: Answer is A (Salicylate poisoning) 'Salicylate poisoning' or analgesic abuse nephropathy is one of the most common causes of necrotizing papillitis.